Spanish windlass method of execution is also known as ?
1. Mugging
2. Garroting
3. Bansdola
4. Choking

Correct answer: 2. Garroting

Explanation: Garrotting as a mode of execution was once employed in spain.An iron collar around the neck is tightened by a screw for strangling.This is called Spanish Windlass. Mugging:Strangulation caused by holding the neck of the victim in the bend of the elbow.Pressure is exerted either on front of the larynx or at one or both sides of the neck by the forearm and upper arm. Bansdola:One strong bamboo or stick is placed across the back of the neck and another across the front.Both the ends are tied with a rope due to which the victim is squeezed to death. Ref: K.S.N.Reddy 29th Ed Page 315